Afferent sensation from the lower molar teeth is carried by:
1. Facial nerve
2. Mandibular division of the trigeminal nerve
3. Maxillary division of the trigeminal nerve
4. Opthalmic branch of the trigeminal

Correct answer: 2. Mandibular division of the trigeminal nerve